Easy muscle fatigability is a feature of:
1. Facial palsy.
2. Myasthenia gravis.
3. MPDS.
4. All of the above.

Correct answer: 2. Myasthenia gravis.